Exposure of left subclavian artery by supraclavicular approach does not require cutting of
1. Sternocleidomastoid
2. Scalenus anterior
3. Scalenus medius
4. Omohyoid

Correct answer: 3. Scalenus medius

Explanation: Scalenus medius is located posterior to the subclavian artery. Hence there is no need to cut this to expose the subclavian artery. Ref - Bdc 6th e Vol 3 pg165,166 , pubmed.com